Most common phase II drug metabolizing reaction is:
1. Glucuronidation
2. Acetylation
3. Oxidation
4. Glutathione conjugation

Correct answer: 1. Glucuronidation

Explanation: - Glucuronidation

   Carried out by UDP - Glucuronosyltransferase.
   Results in increased molecular weight of the drug.
   Helps in excretion in bile.